IQ is -
1. Mental age / chronological age x 100
2. Chronological age / mental age x 100
3. Mental age + chronological age x 100
4. Mental age - chronological age x 100

Correct answer: 1. Mental age / chronological age x 100